A 30-year-old man with AIDS complains of severe pain on swallowing. Upper GI endoscopy shows elevated, white plaques on a hyperemic and edematous esophageal mucosa. Which of the following is the most likely diagnosis?
1. Barrett esophagus
2. Candida esophagitis
3. Herpetic esophagitis
4. Reflux esophagitis

Correct answer: 2. Candida esophagitis

Explanation: Candida esophagitis Immunocompromised patient Elevated, white plaques(pseudomembrane) Hyperemic & edematous esophageal mucosa